HIPEC is used for
1. Identifying bone metastases
2. Screening protocol for breast cancer
3. Treating peritoneal metastasis
4. Diagnosing tuberculosis

Correct answer: 3. Treating peritoneal metastasis

Explanation: Hyperthermic intraperitoneal chemotherapy (HIPEC) is used for peritoneal metastases.Other treatment modalities are cytoreductive surgery, intraperitoneal chemotherapy.Ref: Bailey and love 27e pg: 1059